Putting profit ahead of healmth as a cause of disease is provided by which theory of Sociology-
1. Feminist
2. Parsonian
3. Marxist
4. Foucauldian

Correct answer: 3. Marxist

Explanation: Theories In Sociology FEMINIST theory : Focuses on how gender inequality has shaped social life. Disease is due to social role of women enforced by men Parsonian Theory: States that illness didnot simply imply a 'biologically altered state, but also a socially altered state. Disease is due to social strain caused by social demands MARXIST theory: Is concerned with the relationship between health and illness and capital social organization. Cause of disease is putting profit ahead of health FOUCAULDIAN theory : Medical discourse plays an important role in management of individual bodies (anatomy politics) and bodies en masse(biopolitics). Disease is labels to segregate population to make it easier to control Ref : An introduction to sociology health and illness by Kevin White ; Pgno : 7